Dominant cell type in grey hepatization stage of community acquired pneumonia is
1. Eosinophils
2. Neutrophils
3. Macrophages
4. Monocytes

Correct answer: 2. Neutrophils

Explanation: In the third phase grey hepatisation, no new erythrocytes are extravasating, and those already present have been lysed and degraded. 
The neutrophil is the predominant cell, fibrin deposition is abundant, and bacteria have disappeared. This phase corresponds with successful containment of the infection and improvement in gas exchange.